Which is not a capsulated organism
1. Pneumococcus
2. Bacillus anthracis
3. H influenza
4. Clostridium tetani

Correct answer: 4. Clostridium tetani

Explanation: All clostridia are non-capsulated except clostridium perfringens.